Drug of choice for maintenance therapy in PSVT is
1. Amiodarone
2. Lingnocaine
3. Verapamil
4. Adenosine

Correct answer: 3. Verapamil

Explanation: Table 276-3 Verapamil 5-10 mg ,over 3-5 min , maintenance: 2.5-10 mg/h ,SVT, AF rate control Ref Davidson 20th edition pg 1532